Coarctation of aorta is most commonly associated with:
1. PDA
2. Bicuspid aortic valve
3. Aortic stenosis
4. VSD

Correct answer: 2. Bicuspid aortic valve

Explanation: The most common associated cardiac anomaly with coarctation of aorta is bicuspid aortic valve. Ref: Harrison 17th Edition, Page 1462